Follicles of a diameter of 5 mm are typically seen in:
1. Pharyngoconjunctival fever
2. Trachoma
3. Drug induced follicular conjunctivitis
4. Ophthalmia neonatorum

Correct answer: 2. Trachoma

Explanation: Ans. Trachoma